Which of the following drug is used for Lithium induced tremors?
1. Add valproate
2. Propranolol
3. Trihexyphenidyl
4. Tetrabenazine

Correct answer: 2. Propranolol

Explanation: Ans. B. PropranololNeurological Effects of lithium1. Tremor: postural tremor (8to12Hz) (treatment- b-Adrenergic receptor antagonists, such as propranolol)2. Cognitive Effects (dysphoria, lack of spontaneity, slowed reaction times and impaired memory)3. Other Neurological Effects: symptoms of mild parkinsonism, ataxia, dysarthria, Peripheral neuropathy, benign intracranial hypertension (pseudotumor cerebri), findings resembling myasthenia gravis &increased risk of seizures.